A new drug is to be evaluated for its therapeutic effect. The best study design will be -
1. Cross sectional survey
2. Case - control design
3. Natural experiment
4. Randomized controlled trial

Correct answer: 4. Randomized controlled trial

Explanation: RCT has questioned the validity of such widely used treatment as oral hypoglycemic agents, varicose vein stripping, tonsillectomy, hospitalization of all patients with myocardial infarction, multiphasic screening and toxicity and applicability of many preventive and therapeutic procedures. Ref: 25th edition, Park's Textbook of Preventive and Social Medicine, Page no. 89